Reticulocvtes are stained with:
1. Auramine
2. Brilliant cresyl blue
3. Sudan black
4. Indigo carmine

Correct answer: 2. Brilliant cresyl blue

Explanation: Ans. B i.e. Brillinat cresyl blueReticulocytesThey are immature RBCs that contain remnant cytoplasmic ribonucleic acid (RNA) and organelles such as mitochondria and ribosomes.Reticulocytes are visualized by staining with supravital stains (methylene blue or brilliant cresyl blue) that precipitate the RNA and organelles.These stains cause the ribosomal and residual RNA to coprecipitate with the few remaining mitochondria and ferritin masses in living young erythrocytes to form microscopically visible dark-blue clusters and filaments (reticulum).The reticulocyte count is a means of assessing the erythropoietic activity of the bone marrow.